CA - 125 is a tumor marker for rn
1. Carcinoma ovary
2. Carcinoma endometrium
3. Carcinoma vagina
4. Carcinoma cervix

Correct answer: 1. Carcinoma ovary

Explanation: Ans. is a i.e. Carcinoma ovary CA - 125 is a glycoprotein secreted by malignant epithelial tumours of ovary. CA - 125 level correlates with volume of tumour and is elevated in 50% of Stage I tumour and 90% of tumours with Stage II or higher. CA - 125 level is also useful for follow up after treatment. Level > 35 units/ml suggests residual tumour. Remember : Two best screening test for ovarian ca are measurement of CA - 125 levels and transvaginal USG. CA - 125 is raised in : Other conditions in which CA - 125 is raised are : * Abdominal tuberculosis Chronic liver disease In a post menopausal women with an asymptomatic pelvic mass and CA - 125 > 65 tEml is very sensitive for diagnosis of ovarian epithelial tumour.